One of the following diseases shows urinary bladder calcification radiologically which resembles fetal head in the pelvis.
1. Tuberculosis
2. Schistosomiasis
3. Chronic cystitis
4. Malignancy

Correct answer: 2. Schistosomiasis

Explanation: Ans. is 'b' ie. Schistosomiasis (Ref. Chapman, 3/e, p 332) " Schistosomiasis - is the commonest cause of calcification in the wall of the bladder. Thin curvilinear calcification outlines a bladder of normal size and shape. Calcification spreads proximally to involve the distal ureters (appearing as two parallel lines) in 15%." This paragraph points towards schistosomiasis. - Schistosomiasis causes calcification in the wall of the bladder which outlines the bladder. A full bladder will appear as a fetal head in the pelvis , on an X-ray.